Schizoint are not seen in peripheral blood of which malarial parasites ?
1. P vivax
2. P falciparum
3. P ovale
4. P malariae

Correct answer: 2. P falciparum

Explanation: Ans. is 'b' i.e., P falciparum In peripheral smear offalciparum malaria following forms are seen Early ring form Gametocytes Mature trophozoites and schizoint are not found in peripheral blood because schizogony occurs inside the capillary of internal organs (spleen, liver and bone marrow).